The most common malignancy of the oral cavity is:
1. Basal cell carcinoma
2. Transitional cell carcinoma
3. Melanoma
4. Squamous cell carcinoma

Correct answer: 4. Squamous cell carcinoma